A Patient has hypersensitivity to neostigmine. He has to undergo upper abdominal surgery. Muscle relaxant of choice is:
1. Pancuronium
2. Ropacuronium
3. Vecuronium
4. Atracurium

Correct answer: 4. Atracurium

Explanation: Ans. D. AtracuriumAtracurium undergo spontaneous degradation in plasma called as Hoffman degradation.Atracurium is relaxant of choice if reversal agent is contraindicated.Other muscle relaxants:(mentioned in question) require reversal with neostigmine (but Ne can not use neostigmine due to hypersensitivity), so can not use in this patient